Which among the following can cause congenital heart block?
1. Maternal SLE
2. Down's syndrome
3. Edward's syndrome
4. Phenylketonuria

Correct answer: 1. Maternal SLE

Explanation: SLE with high SSA titer is said to predispose to congenital heart block in the child. Complete atrioventricular block (CAVB) occurs in as many as 5% of children born to mothers with anti-Ro antibody, which can be seen with subclinical or clinical maternal lupus erythematosus, maternal Sjogren syndrome, or another maternal autoimmune disease. After birth, the children may present with varying degrees of heart block, including CAVB, cardiomyopathy, and other manifestations of neonatal lupus syndrome. However, the majority of infants who are born to these mothers do not manifest AV block. Hereditary diseases such as Hurler cardiomyopathy and Hunter cardiomyopathy can be associated with CAVB.